Screening of Cervical cancer is which level of prevention
1. Primordial
2. Primary
3. Secondary
4. Tertiary

Correct answer: 3. Secondary

Explanation: Ans. (c) SecondaryRef: K. Park 23rd ed. / 41, 370-74* All screening and diagnostic tests and treatment measures come under secondary level of prevention.* All vaccines/immunization are primary level of prevention.* BCG vaccine used for treatment of bladder CA is secondary level of prevention.Must KnowLevel of Prevention with their modes and exampleLevel of preventionTimingMode of preventionExamplePrimordialBefore emergence of risk factor-* Source reduction for protection of malaria.* Preserving traditional life stylePrimaryRisk factor present but NO disease yetBy health promotion and specific protection.* All vaccines* Contraceptives* Mosquito nets/repellants/DDT* ChemoprophylaxisSecondaryWhen Disease has probably startedBy early diagnosis and treatment* All screening and diagnostic tests.* Treatment measures* BP monitoringTertiaryDisease in progression:By disability limitation and rehabilitation.* Physiotherapy* Crutches in polio